Poor prognostic factor in acute Pancreatitis is :
1. Increased serum amylase
2. Decreased calcium
3. Decreased blood sugar
4. All

Correct answer: 2. Decreased calcium

Explanation: Ans. is 'b' i.e. decreased calcium